Windswept deformity in foot is seen in -
1. Rickets
2. RA
3. Hyperparathyroidism
4. Scurvy

Correct answer: 2. RA

Explanation: Ans. is 'b' i.e., RA Please notice, foot in the question. For foot, the correct answer is "RA", for knee it's Rickets. Windswept deformity Knee : - A valgus deformity of one knee in association of varus deformity of other knee is know as windswept deformity. It is seen in : Rickets, Physeal oseochondromatosis, Hereditary dysplasia (epiphyseal dysplasia) of bone and Rheumatoid arthritis. Foot: - Deviation of all - toes in one direction (usually laterally) is known as windswept deformity. It is seen in Rheumatoid arthritis. Hand : - Deviation of all fingers (usually medialy) is know as windswept deformity. It is seen in Rheumatoid arthritis, SLE, and Jacoud's arthropathy.